Which of the following is the donor of ADP-ribose for ADP-ribosylation reactions?
1. Adenosine triphosphate
2. Adenosine monophosphate
3. Nicotinamide adenine dinucleotide
4. Flavin mononucleotide

Correct answer: 3. Nicotinamide adenine dinucleotide

Explanation: ADP-ribosylation One of the histone post-translational modifications. NAD+ acts as the source of ADP-ribose. Eg : Mechanism of action of cholera toxin, diphtheria toxin and ricin